All are side effects of OC pills except -
1. Weight gain
2. Breast discomfort
3. Ovarian malignancy
4. DVT

Correct answer: 3. Ovarian malignancy

Explanation: park's textbook of preventive and social medicine 23rd edition. *cardiovascular effects:myocardial infarction, cerebral thrombosis,and venous thrombosis. *carcinogenesis:increased risk of cervical cancer with increased duration of use. *metabolic effects:elevation of blood pressure, alteration in serum lipid,increased blood glucose level ,breast tenderness,weight gain,head ache and migraine, liver disorder,premature cessation of lactation,ectopic pregnancy, delayed subsequent pregnancy, foetal developmental defect